Which is/ are natural method's of contraception ?
1. Abstinence during fertile period
2. Coitus interupptus
3. Breast feeding
4. All the above

Correct answer: 4. All the above

Explanation: Ans. is 'd' i.e., All the above Methods of contraceptiono Natural methods:Abstinence during the fertile phaseWithdrawal (coitus interrupts.)Breastfeedingo Barrier contraceptives:Use of condoms by maleUse of spermicidal agentsUse of diaphragm, or the cer\ncal cap in the vagina, use of female condom.Use of hormones which after the cervical mucus and prevent entry of sperms into the cervical canal.o Intrauterine contraceptive devices (IVCDs)o Supperssion of spermatogenesis,o Suppression of ovulation with hormones-hormonal contraceptives.o Interceptive agents (postcoital contraception)o Immunological methods.o Surgical sterilization